Which one of the following is a rickettsial disease
1. Weils disease
2. Rocky mountain fever
3. Relapsing fever
4. Pontaic fever

Correct answer: 2. Rocky mountain fever

Explanation: Rocky mountain spotted fever is caused by R.ricketsii.vector is dermacentar andersonii it is prevalent in north america and South America. It is the most serious type of spotted fever Ref: AnanthNarayan and paniker's 10th edition